Wood lamp is used to diagnose –
1. Psoriasis
2. Tinea versicolor
3. Pityriasis rosae
4. Erysipelas

Correct answer: 2. Tinea versicolor